The most effective means of Limiting applied loads to abutment teeth in a distal extension partial denture is by
1. Using a stress breaker
2. Using acrylic replacement teeth
3. Splinting abutments to adjacent teeth
4. Maintaining a stable base tissue relationship

Correct answer: 4. Maintaining a stable base tissue relationship